In a 3-year old child which of the following is the most common cyst located in midline of neck:
1. Thyroglossal cyst
2. Branchial cyst
3. Lymphangiocele
4. Cystic hygroma

Correct answer: 1. Thyroglossal cyst